A patient at 17 weeks gestation is diagnosed as having an intrauterine fetal demise on USG. She comes back to the OPD only after 5 weeks of the scan and has not expelled the fetus yet. She has had some occasional spotting. This patient is at increased risk for which of the following ?
1. Septic abortion
2. Recurrent abortions in the future
3. Consumptive coagulopathy with hypofibrinogenemia
4. Rupture uterus

Correct answer: 3. Consumptive coagulopathy with hypofibrinogenemia

Explanation: Consumptive coagulopathy with hypofibrinogenemia due to neglected missed abortion or neglected IUDs can trigger the coagulation cascade and consume the coagulation factors. Patient can go into DIC. This is an event related to actual consumption of procoagulants within the intravascular tree. This results in ineffective balance of natural anticoagulant mechanisms leads to widespread fibrin deposition causing multiorgan failure.